Clavipectoral fascia is pierced by all of the following structures, EXCEPT:
1. Medial pectoral nerve
2. Lateral pectoral nerve
3. Cephalic vein
4. Thoracoacromial vessels

Correct answer: 1. Medial pectoral nerve

Explanation: Clavipectoral fascia is a strong sheet of connective tissue situated deep to the clavicular portion of the pectoralis major muscle. It splits above to enclose the subclavius muscle and connects to the corocoid. Below to enclose the pectoralis minor and continues downward as suspensory ligament of the axilla. It is pierced by the following structures: a) Lateral pectoral nerve b) Cephalic vein c) Thoracoacromial vessels d) Lymphatics from breast and pectoral region Ref: Human anatomy by B.D Chaurasia, volume 1, 4th Edition, Page 46